Which of the following intracranial tumors has the best prognosis?
1. Glioblastoma
2. Cerebellar astrocytoma
3. Medulloblastoma
4. Ependymoma

Correct answer: 2. Cerebellar astrocytoma

Explanation: Cerebellar astrocytoma is the most common type of posterior fossa tumor in childhood and has an excellent prognosis following surgical removal. Next to cerebellar astrocytoma, medulloblastoma is the most frequent tumor involving posterior cranial fossa structures and has a poor prognosis for recovery.